A child with an abdominal mass diagnosed of having Wilms tumour. The child may have all of the following features associated with Wilms tumour, EXCEPT:
1. Aniridia
2. Hemihypertrophy
3. Hypertension
4. Bilateral polycystic kidney

Correct answer: 4. Bilateral polycystic kidney

Explanation: Horseshoe kidney is associated with Wilms tumor not bilateral polycystic kidney. In a few children, Wilms tumor occurs in the setting of associated malformations or syndromes, including, Aniridia Hemihypertrophy Genitourinary malformations Cryptorchidism Hypospadias Gonadal dysgenesis Pseudohermaphroditism Horseshoe kidney Beck-with-Wiedemann syndrome Denys-Drash syndrome WAGR syndrome (Wilms tumor, aniridia, ambiguous genitalia, mental retardation) Ref: Graham D.K., Quinones R.R., Keating A.K., Maloney K., Foreman N.K., Giller R.H., Greffe B.S. (2012). Chapter 31. Neoplastic Disease. In W.W. Hay, Jr., M.J. Levin, R.R. Deterding, J.J. Ross, J.M. Sondheimer (Eds), CURRENT Diagnosis & Treatment: Pediatrics, 21e.